Hardest vital tissue among the following is:
1. Enamel
2. Dentin
3. Cementum
4. None

Correct answer: 2. Dentin

Explanation: Dentin is the hardest vital tissue, while the enamel is the hardest non-vital tissue.